Amyloid stroma is seen in which Ca thyroid ?
1. Papillary Ca
2. Medullary Ca
3. Anaplastic Ca
4. Follicular Ca

Correct answer: 2. Medullary Ca

Explanation: Ans is B ie Medullary Ca